"Five clean practices" under strategies for elimination of neonatal tetanus include all except -
1. Clean surface for delivery
2. Clean hand of the attendant
3. New blade for cutting the cord
4. Clean airway

Correct answer: 4. Clean airway

Explanation: Clean air Reference:Park's textbook of preventive and social medicine,K.Park,23rd edition,page no:313.